Bleeding nasal polypoidal mass with subcutaneous nodules on skin are seen in:
1. Zygomycosis
2. Rhinosporidiosis
3. Sporotrichosis
4. Aspergillosis

Correct answer: 2. Rhinosporidiosis

Explanation: (b) Rhinosporidiosis(Ref. Scott Brown, 6th ed., 4/8/ 40)Anterior rhinoscopy in a patient of rhinosporidiosis shows a red polypoidal mass.Subcutaneous lesions in rhinosporidiosis can occur due to contact by contaminated finger nails.Zygomycosis group contain the fungus Mucor and Rhizopus which lead to mucormycosis. Skin lesions are not seen here.Sporotrichosis (also known as rose thorn or "Rose gardener's disease) is a disease caused by the infection of the fungus Sporothrix schenckii. This fungal disease affects the skin. It does not affect the nose.In aspergillosis nasal polyps can occur but skin lesions are not seen.